Which of the following is NOT associated with thiazide diuretics?
1. Hypercalciuria
2. Hyponatremia
3. Hypokalemia
4. Hyperuricemia

Correct answer: 1. Hypercalciuria

Explanation: (Ref: KDT 6/e p567) Thiazides cause hypercalcemia by decreasing its excretion (hypocalciurea) whereas loop diuretics cause hypocalcemia by increasing its excretion. (remember LOOP LOOSES CALCIUM).